A child presents with bladder exstrophy and chronic renal failure. The muscle relaxant of choice to be used during the surgery of exstrophy in this child is :
1. Atracurium
2. Mivacurium
3. Pancuronium
4. Rocuronium

Correct answer: 1. Atracurium